A person with IQ of 55 is
1. Mild mental Retandation
2. Moderate Mental Retandation
3. Severe Mental Retandation
4. Very Severe Mental Retandation

Correct answer: 1. Mild mental Retandation